The method used for acid-fast staining -
1. Robertson’s method
2. Ziehl Neelsen
3. Silver impregnation method
4. Dark ground illumination

Correct answer: 2. Ziehl Neelsen

Explanation: Acid-fast staining

After staining with aniline dye, acid-fast organisms resist decolourisation with acids.
The method most commonly used is modified Ziehl Neelsen.